Silica sol:
1. Is applied to the walls of the investment to produce hygroscopic expansion
2. Increase the strength and the setting expansion of the phosphate-bonded investments
3. Acts as a retarder in the silica bonded investments
4. Acts as a refractory in the silica bonded investments

Correct answer: 2. Increase the strength and the setting expansion of the phosphate-bonded investments